Sterols are metabolized to
1. Coenzyme A
2. VIt A
3. Vit D
4. Vit E

Correct answer: 3. Vit D

Explanation: Vitamin D is derived from 7-dehydrocholesterol by the action of UV radiations 7 dehydrocholesterol, an intermediate of a minor pathway of cholesterol synthesis The cis double bond is isomerized to a trans double bond to give rise to vitamin D3 or cholecalciferol Ref: DM Vasudevan, 7th edition, page no: 469